Best position for intubating on adult patient when using macintosh laryngoscope-
1. Shoulder elevated
2. Flexion of the lower cervical spine and extension of head
3. Flat on the bed
4. Hyperextension of neck

Correct answer: 2. Flexion of the lower cervical spine and extension of head

Explanation: This is called morning sniffing position. There is movement on two joints atlantoccipital jt and neck joint . Atlantoccipital joint is extended. Neck joint is flexed.